Which following is supplied by contralateral nerve nucleus?
1. Superior rectus
2. Inferior rectus
3. Medial rectus
4. Inferior oblique

Correct answer: 1. Superior rectus

Explanation: Ans. a. Superior rectusSuperior rectus and superior oblique muscles are supplied by opposite side (contralateral) nuclei of 3rdeg and 41h cranial nerves respectively.Subnuclei of Oculomotor (CN III) nucleus and their FunctionsSubnucleusMuscles innervatedSide innervatedDorsalInferior rectusQIpsilateralQIntermediateInferior obliqueQIpsilateralQVentralMedial rectusQIpsilateralQMedialSuperior rectusQContralateralQCentral caudalLevator palpebrae superiorisQBilateralQEdinger-Westphal (ParasympatheticPupillary constrictors and ciliary musclesBilateralQ